Which one of the following bacteria is oxidase positive ?a) Vibriob) Pseudomonasc) Clostridiumd) E.coli
1. ac
2. a
3. ab
4. bc

Correct answer: 3. ab